A wide and notched P wave is typically seen in:
1. Mitral Stenosis
2. Cor-Pulmonale
3. COPD
4. Pulmonary embolism

Correct answer: 1. Mitral Stenosis

Explanation: Answer is A (Mitral Stenosis) Mitral Stenosis is typically associated with a Wide and Notched P wave from Left Atrial Enlargement (LAE) Cor-Pulmonale, COPD and Pulmonary embolism are all associated with Right Atrial Enlargement resulting in a Tall P wave (not a wide p wave)